CNS tumor seen in Von Hippel Lindau syndrome is:
1. Meningioma
2. Cerebellar hemangioblastoma
3. CNS lymphoma
4. Glioma

Correct answer: 2. Cerebellar hemangioblastoma

Explanation: Answer is B (Cerebellar Hemangioblastomas): Von Hippel Lindau syndrome is associated with retinal, cerebellar and spinal hemangioblastoma.